Prions consist of -
1. DNA and RNA
2. DNA, RNA and Protein
3. RNA and protein
4. Only proteins

Correct answer: 4. Only proteins

Explanation: prions are protein in nature&devoid of DNA&RNA REF:ANATHANARAYANAN MICROBIOLOGY NINTH EDITION PAGE.557